Metastases from a granulosa cell tumour first in volves :
1. The liver
2. The opposite ovary
3. The mesentery
4. The mediastinum

Correct answer: 2. The opposite ovary

Explanation: The opposite ovary